Pott's puffy tumour is related to:
1. Infected cell in middle turbinate
2. Tuberculous sinusitis
3. Pyogenic infection of frontal sinus
4. Cavernous sinus thrombosis

Correct answer: 3. Pyogenic infection of frontal sinus

Explanation: Pott's puffy tumour is a complication of pyogenic infection of frontal sinus. Pus collects under the periosteum on the anterior surface of the frontal sinus with associated oedema of skin and subcutaneous tissues.